A man comes to emergency with stab injury to left flank. He has stable vitals. What would be the next step in management
1. CECT
2. Diagnostic peritoneal lavage
3. Laprotomy
4. Laproscopy

Correct answer: 1. CECT

Explanation: CECT, is most commonly used and better investigation for abdominal trauma. It is useful in blunt/penetrating trauma, suspected pancreas, Spleen, liver, duodenal, retroperitoneal and pelvic injuries. Ref : SRB's 4thE pg:151